In traumatic brain injury, Glasgow outcome score of 4 stands for
1. Good recovery
2. Moderate disability
3. Severe disability
4. Persistent vegetative state

Correct answer: 2. Moderate disability

Explanation: Glasgow Outcome Score (GOS)Good recovery 5Moderate disability 4Severe disability 3Persistent vegetative state 2Dead 1Bailey and Love 26e pg:320